Fluroacetate inhibits ?
1. Citrate synthetase
2. Aconitase
3. Succinate dehydrogenase
4. Alphaketoglutarate dehydrogenase

Correct answer: 2. Aconitase

Explanation: Aconitase In glycolysisFluoride inhibits --> Enolaselodoacetate inhibits > Glyceroldehyde 3-phosphate dehydrogenase.Arsenite inhibits --> Phosphoglycerate kinaseIn TCA cycleFluoroacetate inhibits aconitase non-competitively.Arsenite inhibits a-ketoglutarate dehydrogenase non-competitively.Malonate inhibits succinate dehydrogenase competitively.During glycolysis 2 ATP are utilized and 4 ATP are produced at substrate level. 2 reducing equalents NADH* are produced and reoxidized by electron transport chain, to generata 5 ATP molecules (2.5 ATP per NADH* molecule). Thus total 9 ATP molecules are produced and 2 are utilized, i.e., There is net gain of 7 ATP molecules in aerobic glycolysis.In anaerobic conditions, the reoxidation of NADH by electron transport chain is prevented and NADH gets reoxidized by conversion of pyruvate to lactate by lactate dehydrogenase. Thus, in anaerobic glycolysis only 4 ATP are produced at substrate level. Therefore, there is net gain of 2 ATP molecules in anaerobic glycolysis.